Vascular sign of narath is seen In?
1. Posterior dislocation of hip
2. Sub trochantric fracture of hip
3. Anterior dislocation of hip
4. Central dislocation of hip

Correct answer: 1. Posterior dislocation of hip

Explanation: ANSWER: (A) Posterior dislocation of hipREF: Apley's 8th ed p. 681Vascular sign of narath is positive in posterior dislocation of hip joint. Due to posterior dislocation, the hipjoint falls on the femoral artery, and this causes feeble or absent femoral pulse.